A person is very impatient, competitive and works like a perfectionist. He/she can be best described as ?
1. Type A personality
2. Type B personality
3. Type C personality
4. Type D personality

Correct answer: 1. Type A personality

Explanation: Ans. is 'a' i.e., Type A personality Type A personality:Impatient, time-conscious, highly competitive, ambitious, hostile, and aggressive.They have difficulty in relaxing and are concerned about their status.Type A individuals are often highly achieving workaholics,who do multitask, drive themselves with deadlines and are unhappy about the smallest of delay.Expressed in three major symptoms : -Time urgency and impatience (Time pressure)Free floating hostilityCompetitiveness